Normal anionic gap is seen in one of the following -
1. Diarrhoea
2. Uremia
3. Lactic acidosis
4. Ketosis

Correct answer: 1. Diarrhoea